In an accident during cleanup of an old residential area of the city, the Achilles tendon of a 32-year-old worker was cut through by the blade of a brush cutter. The patient is admitted to the hospital and a laceration of the Achilles tendon is diagnosed. Which of the following bones serves as an insertion for the Achilles tendon?
1. Calcaneus
2. Fibula
3. Cuboid
4. Talus

Correct answer: 1. Calcaneus

Explanation: The Achilles tendon inserts upon the calcaneus bone. This tendon represents a combination of the tendons of gastrocnemius and soleus muscles. The tendon of the plantaris can insert with this tendon.